The following statements are related to PPH except:
1. It is always a preventable condition
2. Atonicity of the uterus is the commonest cause
3. Intravenous ergometrine with the delivery of the anterior shoulder is a prophylaxis
4. Blood loss during ceaseran section exceeds the quantitative definition of PPH

Correct answer: 1. It is always a preventable condition